All of the following statements about apoproteins are true Except:
1. Apoprotein A-I activates LCAT
2. Apoprotein C-I activates lipoprotein lipas
3. Apoprotein C-II inhibits lipoprotein lipase
4. Apoprotein C- II activates lipoprotein lipase

Correct answer: 3. Apoprotein C-II inhibits lipoprotein lipase

Explanation: C i.e. Apoprotein C II inhibits lipoprotein lipaseLipoprotein lipase is activated by phospholipid , apoprotein C I & CH and inhibited by apoprotein All and apoprotein CIIIQ.